Which among the following are a cause of posterior mediastinal opacity on Posterior-Anterior (PA) and lateral view of chest radiograph?
1. Tortuous innominate artery
2. Bochdalek's Hernia
3. Enlarged pulmonary artery
4. Thymoma

Correct answer: 2. Bochdalek's Hernia

Explanation: Amongst the given options Bochdalek hernia is the posterior mediastinal mass.
Tortuous innominate artery and enlarged pulmonary artery (e.g. aneurysm) are middle mediastinal mass, and thymoma is anterior mediastinal mass.